Surgery preferred for severe ptosis with pool levator function
1. Fasanella - servat
2. levator resection
3. Everbusch's operation
4. Frontalis sling

Correct answer: 4. Frontalis sling

Explanation: Frontalis sling - Tucking upperlid to frontalis muscle with the help of fascia lata or non - absorbable materials.